Guillain-Barre' syndrome (GBS) commonly associated with
1. Japanese encephalitis virus
2. Campylobacter
3. Meningococcus
4. Acanthoemeba

Correct answer: 2. Campylobacter

Explanation: (B) Campylobacter # GUILLAIN-BARRI- SYNDROME (GBS) is a rapid-onset muscle weakness caused by the immune system damaging the peripheral nervous system.> Initial symptoms are typically changes in sensation or pain along with muscle weakness, beginning in the feet and hands.> This often spreads to the arms and upper body with both sides being involved. The symptoms develop over hours to a few weeks.> During the acute phase, the disorder can be life-threatening with about 15% developing weakness of the breathing muscles requiring mechanical ventilation.> Some are affected by changes in the function of the autonomic nervous system, which can lead to dangerous abnormalizes in heart rate and blood pressure.> Two thirds of people with Guillain-Barre syndrome have experienced an infection before the onset of the condition.> Most commonly these are episodes of gastroenteritis or a respiratory tract infection. In many cases, the exact nature of the infection can be confirmed.> Approximately 30% of cases are provoked by Campylobacter jejuni bacteria, which cause diarrhea. A further 10% are attributable to cytomegalovirus (CMV, HHV-5).> Despite this, only very few people with Campylobacter or CMV infections develop Guillain-Barre syndrome (0.25-0.65 per 1000 and 0.6-2.2 per 1000 episodes, respectively).> Strain of Campylobacter involved may determine the risk of GBS; different forms of the bacteria have different lipopolysaccharides on their surface, and some may induce illness (see below) while others will not.> Links between other infections and GBS are less certain.> Two other herpesviruses (Epstein-Barr virus/HHV-4 and varicella zoster virus/HHV-3) and the bacterium Mycoplasma pneumoniaehave been associated with GBS.> Tropical viral infection dengue fever and Zika virus have also been associated with episodes of GBS.> Previous hepatitis E virus infection has been found to be more common in people with Guillain-Barre syndrome.